Bleeding time is done to assess:
1. Platelet function
2. Intrinsic pathway
3. Extrinsic pathway
4. Coagulation cascade

Correct answer: 1. Platelet function

Explanation: Ans: a (Platelet function) Ref: O.P. Ghai 6th ed,p. 322-23Bleeding time is prolonged in all conditions associated with thrombocytopenia and platelet function defects.Here it will be better if you go through the diagnostic approach to bleeding disorders given in O.P. Ghai.Clotting time increasedCoagulation defect.Prothrombin timeIndicator of extrinsic pathway of coagulation (factor VII)Activated partial thromboplastin time indicator of intrinsic pathway of coagulation (VIII, IX, XI, XII)Clot stability with 5 M urea-factor XIII deficiency. (All other tests are normal)Both PT and APTT increasedCommon pathway defect, liver dysfunction, DIC, vit.K deficiency. (V, X, fibrinogen deficiency)In DIC, thrombin time also prolonged.